All are TRUE about Gastrin, EXCEPT:
1. Precursor is preprogastrin
2. It has two major form G 34 and G 17
3. Common feature of all gastrin is an amidated tetrapeptide
4. Glycine extended gastrin is produced by gastric mucosal cells

Correct answer: 4. Glycine extended gastrin is produced by gastric mucosal cells

Explanation: Gastrin is produced from the endocrine cells of the gastric antrum. GASTRIN FUNCTION 1. Stimilate gastric acid secretion 2. Growth promotion of gastric mucosa and some cancers Precursor is: Preprogastrin - It has a 101 aminoacid structure. Gastrin has two major forms: G 34 and G 17. Common feature of all Gastrins: Amidated tetrapeptide (Try- Met-Asp-Phe-NH2) Glycine extended gastrin is the non amidated form of Gastrin. It is produced by colonic mucosa. It stimulates proliferation of normal colonic mucosa. In animals it stimulate the development of colorectal cancer. Ref: Sleisenger and Fordtrans, Edition-9, Page-6.